The last tributary of the azygos vein is -
1. Right superior intercostal vein
2. Hemi-azygos vein
3. Right bronchial vein
4. Accessory azygos vein

Correct answer: 3. Right bronchial vein

Explanation: Tributaries of Azygos vein

Right superior intercostal vein
Right posterior intercostal veins (5 to 11)
Hemiazygos vein
Accessory hemiazygos vein
Right bronchial vein- last tributary that joins Azygos vein just before its termination.
Esophageal, mediastinal and pericardial veins.